Barium follow through is used for
1. Esophagus
2. Stomach and duodenum
3. Small intestine
4. Colon and rectum

Correct answer: 3. Small intestine

Explanation: Barium swallow - Esophagus
Barium meal - Stomach and duodenum
Barium follow through - Small intestine
Barium enema - Colon and rectum.